Maximum pressure in left ventricle seen is ?
1. 2 mm Hg
2. 25 mm Hg
3. 80 mm Hg
4. 120 mm Hg

Correct answer: 4. 120 mm Hg

Explanation: Ans. is 'd' i.e., 120 mm Fig